In hyperparathyroidism all seen except-
1. Osteopetrosis
2. Osteoporosis
3. Cysts
4. Brown tumor

Correct answer: 1. Osteopetrosis

Explanation: Skeletal changes in hyperparathyroidism are Diffuse bone resorption, brown tumours, osteitis fibrosa cystica, cod fish spine deformities, pathological fracture, marrow fibrosis, X-ray findings in hyperparathyroidism Osteoporosis, subperiosteal resorption, tufting of middle phalanges of index and middle fingers, pinhead stippling, absence of lamina dura. Ref - Harrison's internal medicine 20e p2927-2928